True statements about asbestosis
1. Causes Lung Ca
2. Pleural mesothelioma
3. Peritoneal mesothelioma
4. All of the above

Correct answer: 4. All of the above

Explanation: Answer is D (All of the above) : Asbestosis may be associated with Bronchogenic carcinoma, Mesotheliomas (pleural and peritoneal) and Pulmonary fibrosis.